Which part of the brain is involved in narcolepsy?
1. Neo cortex
2. Hypothalamus
3. Pons
4. Medulla

Correct answer: 2. Hypothalamus

Explanation: "A lateral hypothalamic neuropeptide called hypocretin (orexin) is implicated in narcolepsy" Narcolepsy is both a disorder of the ability to sustain wakefulness voluntarily and a disorder of REM sleep regulation. The classic "narcolepsy tetrad" consists of excessive daytime somnolence plus three specific symptoms related to an intrusion of REM sleep characteristics (e.g., muscle atonia, vivid dream imagery) into the transition between wakefulness and sleep: Sudden weakness or loss of muscle tone without loss of consciousness, often elicited by emotion (cataplexy) Hallucinations at sleep onset (hypnagogic hallucinations) or upon awakening (hypnopompic hallucinations) Muscle paralysis upon awakening (sleep paralysis) Polysomnography is used for diagnosis. Drug of choice: modafinil